A women noticed mass in her left breast with bloody discharge. Histopathology revealed duct ectasia. Traetment is
1. Simple mastectomy
2. Microdochotomy
3. Lobectomy
4. Hadfield operation

Correct answer: 4. Hadfield operation

Explanation: Duct ectasia is the dilatation of lactiferous duct due to muscukar relaxation of duct wall with periductal mstitis. C/f:greenish discharge from nippleindurated mass under areolaslit like retravtion of nipple,may present as mastalgia. Treatment is cessation of smokingantibioticscone excisionof invilved duct-Hadfields operation. SRB's Manual of Surgery.Edition -5. Pg no:525